Normal female, whose father was color blind married a normal man. What are the chances of color blindness in son ?
1. 25%
2. 50%
3. 75%
4. No chance

Correct answer: 2. 50%

Explanation: Ans. is'b' i.e., 50%